True about Eosinophillic granuloma -a) M.C. in 20-45 years of ageb) More common in femalec) Osteolytic lesiond) Skull is commonly affectede) Lung is commonly affected.
1. cd
2. bc
3. bd
4. ac

Correct answer: 1. cd